Blood chimerism is most likely to occur in which of the following?
1. Monochorionic Monozygotic twins
2. Monochorionic Dizygotic twins
3. Dichorionic Dizygotic twins
4. Singleton pregnancy

Correct answer: 2. Monochorionic Dizygotic twins

Explanation: Chimerism refers to the amount each cord blood or the recipient contributes to hematopoiesis. Monochorionic Dizygotic twins tends to exhibit blood chimerism. There is no established theory to sustantiate whether chimerism occurs in monochorionic monozygotic twins, dichorionic dizygotic twins, dichorionic monozygotic twins and singleton pregnancies. Ref: Avery's Diseases of the Newborn By H. William Taeusch, Roberta A. Ballard, Christine A. Gleason, Mary Ellen Avery, Page 61 Pathology of the human placenta By Kurt Benirschke, Peter Kaufmann, Page 8